Indicators of bone formation includes all of following except-
1. Osteocalcin
2. Alkaline phosphatase
3. Hydroxyprolin
4. Bone scan

Correct answer: 3. Hydroxyprolin

Explanation: C i.e. Hydroxyproline Serum & urinary deoxypyridinoline and N - telopeptide & C - telopeptide as well as urinary hydroxyproline are markers of bone resorptionQ (not bone formation)